Ramsay hunt syndrome is caused by-
1. H. simplex
2. Varicella Zoster
3. Influenza
4. Adenovirus

Correct answer: 2. Varicella Zoster

Explanation: Ans. is ',b' i.e., Varicella zoster? Ramsay Hunt Syndromeo It is lower motor neuron type of facial palsy due to Varicella (herpes) zoster. Pain is often a prominent feature and vesicles are seen in the ipsilateral ear, on the hard palate and/or on anterior two third of the tongue. It may involve other cranial nerves-V, VIII, IX and X and cervical branches (C2, C3 & C4) that have anastomotic communications with facial nerve. This results in features like:i) Anesthesia of faceii) Giddinessiii) Hearing impairment along with VII nerve palsy.o The mechanism of disease is the reactivation of the latent varicella zoster virus in the geniculate ganglion. The onset of palsy is preceded by pain which may persist & become excruciating. When the rash is absent it is known as zoster sine herpete.o Treatment recommended is prednisone (steroid) combined with acyclovir.